Staphylococcus is -
1. Gram - positive cocci
2. Gram - negative cocci
3. Gram - positive bacillus
4. Gram - negative bacillus

Correct answer: 1. Gram - positive cocci

Explanation: Ans. is 'a' i.e., Gram - positive cocci Gram positive bacteria . There are 6 classic grain positive bacteria that cause human disease. . Of these 2 are cocci Staphylococci Streptococci (including anaerobic peptostreptococci) . Other 4 are bacilli Corynebacterium 3. Clostridium Bacillus 4. Listeria